Anhydrosis and ptosis seen in -
1. Horner's Syndrome
2. Buphthalmos
3. USHER Syndrome
4. Paralysis of cranial nerve VI

Correct answer: 1. Horner's Syndrome

Explanation: Ans. is 'a' i.e., Horner's Syndrome o Horner's syndrome consists of a classical triad of ipsilateral: i) Ptosis ii) Miosis (hence anisocoria) iii) Anhydrosis (Loss of sweating) o Other features are : # Loss of ciliospinal reflex, Enophthalmos. # Heterochromia (ipsilateral iris is of light color), the pupil is slow to dilate, slight elevation of the inferior eyelid, normal pupillary reflex.